Metastasis of cancer has its roots in structural abnormalities of
1. Glycolipids in nervous tissue
2. Glycoproteins on cell surface
3. Lipoproteins in blood
4. None of the above

Correct answer: 2. Glycoproteins on cell surface

Explanation: DiseaseAbnormalityMetastasis of cancer cellsAbnormalities in the oligosaccharide chains of membrane glycoproteins and glycolipids are thought to be of impoanceReference: Harper's Biochemistry; 30th edition; Chapter 40 Membranes: Structure & Function